CSF pressure depends primarily on:
1. Rate of CSF absorption
2. Rate of formation from the choroid plexus
3. Cerebral blood flow
4. Blood pressure

Correct answer: 1. Rate of CSF absorption

Explanation: Rate of CSF absorption